Which of these is NOT a sign of increased intracranial tension (ICT)?
1. Erosion of dorsum sella
2. Sutural diastasis
3. Ballooning of sella
4. Copper-beaten appearance

Correct answer: 3. Ballooning of sella

Explanation: X-ray findings of increased intracranial tension: Sutural diastasis Sellar demineralization Erosion of posterior clinoids Silver beaten appearance Must know: Cushing's triad: It is the classic presentation of ICH: hypertension, bradycardia, and irregular respirations. Ref: Diagnostic Neuroradiology edited by Valery N.Kornienko, 2009, Page 562.